Observation of yeast cells with multiple budding in tissue in the form of a “the shape  shown in below pictomyograph ” is highly suggestive of
1. Blastomycosis
2. Cccidiodomycosis
3. Paracoccidiodomycosis
4. Histoplasmosis

Correct answer: 3. Paracoccidiodomycosis

Explanation: Paracoccidioides brasiliensis causes paracoccidioidomycosis. It is a dimorphic fungus that exists as a mold in soil and as a yeast in tissue. The yeast is thick-walled with multiple buds ("ship's wheel" appearance), in contrast to Blastomyces dermatitides, which has a yeast with a single bud that has a broad base. Histoplasma capsulatum occurs as an oval budding yeast inside macrophages, whereas Coccidioides is a spherule in tissue, with many endospores within the spherule. Sporothrix, a dimorphic fungus from vegetation, is introduced into the skin and forms a local pustule or ulcer with nodules; round or cigar-shaped budding yeasts are seen in tissue specimens.